An ankle-brachial index (ABI) that suggests increased risk of myocardial infarction would be
1. <0.9
2. <0.6
3. >0.9
4. >0.6

Correct answer: 1. <0.9

Explanation: There is increasing interest in the use of the ankle-brachial index (ABI) to evaluate patients at risk for cardiovascular events. An ABI less than 0.9 correlates with increased risk of myocardial infarction and indicates significant, although perhaps asymptomatic, underlying peripheral vascular disease.